Sinus Bradycardia is defined as heart rate of
1. Less than 40/min
2. Less than 50/min
3. Less than 60/min
4. Less than 70/min

Correct answer: 3. Less than 60/min

Explanation: Ans. is 'c' i.e., Less than 60/min